True regarding the lymphatic drainage of the neck:
1. Anterior half of the nasal septum drain to the submandibular node.
2. Tonsil drains to the upper deep cervical nodes
3. Inevitably all lymphatics ultimately supply to the lower deep cervical nodes.
4. All

Correct answer: 4. All

Explanation: A i.e., Anterior half of nasal septum drain to the submandibular node B i.e., Tonsils drain in upper deep cervical nodes C i.e., Inevitably all lymphatics ultimately supply to the lower deep cervical nodes